Investigation of choice in gall bladder stone is ?
1. USG
2. X-ray abdomen
3. OCG
4. Intravenous cholangiogram

Correct answer: 1. USG

Explanation: Ans. is 'a' i.e. USG